Fracture of femur at the level of isthmus is best treated by
1. Intramedullary nail fixation
2. Plate and screws
3. Closed method
4. External fixation

Correct answer: 1. Intramedullary nail fixation

Explanation: A i.e. Intramedullary nail fixation